During autopsy, foreign body is found in respiratory tract; manner of death is:
1. Homicide
2. Suicide
3. Accident
4. Natural

Correct answer: 3. Accident

Explanation: Ans. Accident